Ivabradine is indicated in the management of:
1. Paroxysomal supraventricular tachycardia
2. Angina pectoris
3. Cardiomyopathy
4. Irritable bowel syndrome

Correct answer: 2. Angina pectoris

Explanation: Ivabradine: Bradycardiac drug. It selectively blocks If Na+ channels and reduce HR by inhibiting the hyperpolarization-activated Na+ channel in the SA node. It reduces angina attacks similar to CCBs and b blockers. Advantage of Ivabradine: Lack of effect on GI and bronchial smooth muscle.